During acclimatization to high altitude all of the following take place except:
1. Increase in minute ventilation
2. Increase in the sensitivity of central chemoreceptors
3. Increase in the sensitivity of carotid body to hypoxia
4. Shift in the oxygen dissociation curve to the left

Correct answer: 4. Shift in the oxygen dissociation curve to the left

Explanation: Ans. (d) Shift in the oxygen dissociation curve to the left(Ref: Guyton, 13th ed/p.563)Shift in the oxygen dissociation curve to the right occurs in high altitude because of hypoxia